Which of the following is not seen tubercular meinigitis:
1. Evidence of old pulmonary lesions or a miliary pattern is found on chest rediography
2. Culture of CSF is diagnostic in majority if cases and remains the gold standard.
3. It is most often in young children but also develops in adults.
4. Cerebrospinal fluid reveals a low leukocyte count.

Correct answer: 4. Cerebrospinal fluid reveals a low leukocyte count.

Explanation: Ans. is 'd' i e., Cerebrospinal fluid receals a low leukocute count. o Tubercular meningitis is seen most often in young children but also develops in adults, especially those infected with HIV.o Tubercular meningitis results from the hematogenous spread of primary or post primary pulmonary TB.o Culture of CSF is diagnostic in up to 80% of cases and remains the gold standard.# Polymerase chain reaction has a sensitivity of up to 80%.o CT appearance in T.B. menigitis# Exudates in basal cisterns# Calcification of meninges# Ventriculitis (exudates in 3rd ventricle)